In the intra-epithelial region of the mucosa of intestine the predominant cell population is that of
1. B cell
2. T-cells
3. Plasma cells
4. Basophils

Correct answer: 2. T-cells

Explanation: Ans. is 'b' i.e., T-cellsAround 15% of the cells in the small intestinal epithelium are lymphocytes. These Intraepithelial lymphocytes (IEL) are virtually all T lymphocytes but, unlike other T cells, most express the CD8 subset marker.The functions of this large populations of T cells are unknown.